Which of the following structure is not a primary support of uterus?
1. Pelvic diaphragm
2. Uterosacral ligament
3. Transverse cervical ligament
4. Broad ligament

Correct answer: 4. Broad ligament

Explanation: Broad ligament is a secondary support of uterus. Structures forming primary support to the uterus are pelvic diaphragm, perineal body, urogenital diaphragm, uterine axis, pubocervical ligament, transverse cervical ligament, uterosacral ligament and round ligament of uterus.